6 years old drowsy child is brought to emergency with a history of vomitings and loose motion for 3 days. On examination, he had sunken eyes, hypothermia, skin on pinching taken very long time to revert. Diagnosis is
1. No dehydration
2. Mild dehydration
3. Some dehydration
4. Severe dehydration

Correct answer: 4. Severe dehydration

Explanation: A child with severe dehydration will have at least two of the following four signs: sensorium is abnormally sleepy or lethargic, sunken eyes, drinking poorly or not at all, and a very slow skin pinchA child with some signs of dehydration will have two of the following: restlessness or irritability, sunken eyes, drinking eagerly or slow skin pinchA child with either one or none of these signs is classified as having dehydration.(Refer: OP Ghai's Textbook of Pediatrics, 8th edition, pg no. 265)